All of the following are true about bacillus anthrax except -
1. Plasmid is responsible for toxin production
2. Cutaneous anthrax generally resolve spontaneously
3. Capsular polypeptide aids virulence by inhibiting phagocytosis
4. Toxin is a complex of two fractions

Correct answer: 4. Toxin is a complex of two fractions

Explanation: Ans. is 'd' i.e., Toxin is a complex of two fractions VIRULENCE FACTORS OFANTHIRA BACILLI 1) Capsular polvpeptide -inhibits phagocytosis - encoded by a plasmid 2) Anthrax toxin -is a complex of three fractions : a) The edema factor (EF or factor I) It is an adenyl cyclase, leading to intracellular accumulation of cAMP Responsible for the edema b) The protective antigen factor (PA or factor II) binds to the receptors on target cells antibody to PA is protective c) The lethal factor (LF or factor III) Causes cell death Mechanism is not known - Anthrax toxin is encoded by a separate plasmid. About option b . Cutaneous antrax generally resolves spontaneously, but 10-20% of untreated patients may develop fatal septicemia or meningitis.